In a village with 180 eligible couples , family planning data of contraceptive method is Sterilization: Vasectomy-3, and Tubectomy-8 IUD users-10 Orals pill users-10 Condom users-29 Effective CPR in the village is:
1. 60%
2. 33%
3. 25%
4. 10%

Correct answer: 3. 25%

Explanation: Couple Protection rate: (CPR) CPR is percent of eligible couples (ECs) protected against one or the other approved methods of family planning, viz condoms, OCPs, IUDs, Sterilization. NRR=1 can be acheived if: CPR >60% CPR(India): 54% (2018) Goal for CPR in RCH-II (2004-09): >65% (Goal of CPR in A vision 2020: 63.7%) CPR is an indicator of prevelence of contraceptive practice in a community. Effective Couple protection rate(ECPR): ECPR id percent of eligible couples(ECs) protected against one or the other approved methods of family planning, viz condoms, OCPs, IUDs, sterilization. Taking into account their effectivity Effectivity of approved contraceptive methods: Condoms: 50% IUDs: 95% OCPs: 100% Sterilization (Vasectomy or Tubectomy): 100% In the given question, ECs=180 Contraceptive methods used No. of couples using contraception Effectivity of contraceptive method Effectively protected couples Condoms 29 50% 14.5 IUDs 10 95% 9.5 Oral pills 10 100% 10 Vasectomy 03 100% 03 Tubectomy 08 100% 08 Total 60 - 45 CPR= 60/180=33.3% ECPR= 45/180*100= 25% Ref: Park 25rd edition Pgno: 544